Bachelors' cast is used in Which of the following condition ?
1. Fracture radius
2. Club foot
3. DDH
4. Fracture calceneum

Correct answer: 3. DDH

Explanation: Bachelor's cast is used in DDH( developmental dysplasia of hip) . once the hip is reduced by closed manipulation under general anaesthesia or by open reduction (indicated if closed reduction fails ,which can be due to *presence of fibrofatty tissue in acetabulum *presence of a fold of capsule and acetabular labrum/inverted limbus between femoral head and superior part of acetabulum. In this case hip is exposed ,soft tissues obstructing the head is excised or released,& head is repositioned in the acetabulum.) After reduction head is maintained inside the acetabulum by * plaster cast-Bachelor's cast or frog leg/ Lorenz cast *splint - von Rosen's splint ; external splints can be removed once the acetabulum develops to a round shape.& kept under observation for a period of 2-3yr for any recurrence. REF:Essential orthopaedics, Maheshwari,9th edition